Study of physical, social and cultural history of man is known as?
1. Social science
2. Anthropology
3. Acculturation
4. Sociology

Correct answer: 2. Anthropology

Explanation: Anthropology; study of the physical , social, and cultural history of man Sociology ;Study of person to person inter-relationship in a society Acculturation means culture contact , when there is contact between two people with different types of culture, there is diffussion of culture both ways Social sciences is applied to those disciplines which are committed to the scientific examiation of human behaviour ref ;(page no;670) 23rd edition of PARK's textbook of Preventive and Social medicine